A 60 year old diabetic patient presents with extermely painful lesion in the external ear and otorrhea not responding to antibiotics. There is evidence of granulation type tissue in the external ear and bony erosion with facial nerve palsy is noted. The most likely diagnosis is-
1. Malignant Otitis Externa
2. Nasopharyngeal carcinoma
3. Chronic suppurative otitis media
4. Acute suppurative otitis media

Correct answer: 1. Malignant Otitis Externa